Nerve for motor function of buccinator muscle
1. Hypoglossal nerve
2. Glossopharyngeal nerve
3. Facial nerve
4. Trigeminal nerve

Correct answer: 3. Facial nerve

Explanation: The buccal branch of mandibular nerve is sensory is nature and supplies the skinand mucous membrane related to the buccinator. The buccal branch of facialnerve is motor in nature and it supplies the buccinator muscle.